A 10 day old male pseudohermaphrodite child with 46 XY karyotype presents with BP of 110/80 mmHg. Most likely enzyme deficiency is -
1. 21 hydroxylase
2. 17 hydroxylase
3. 11 hydroxylase
4. 3- beta hydroxylase

Correct answer: 2. 17 hydroxylase

Explanation: Ans. is 'b' i.e., 17 a hydroxylase To understand the pathophysiology and effects of different congenital adrenal hyperplasia, one should know the synthetic pathway of steroid hormones. Steroidogenesis o All steroid hormones are synthesized from precursor pregnenolone which inturn is derived from cholesterol. 1. 17-alpha hydroxylase deficiency All pregnonolone is converted to mineralocorticoid, pathway. So, there will be : - i) Excess of mineralocorticoids Salt retention & hypertension ii) No androgens --> Faminization of external male genitalia (male pseudohermaphroditism). Female development will be normal. 2. 11-(3 hydroxylase deficiency Cycle will go upto deoxycorticosterone and deoxycortisole. So, there will be : ? i) Excess deoxycorticosterone ----> It has mineralocorticoid activity which results in hypertension. ii) Excess androgen Virilization of female (female pseudohermaphroditism). In males, there will precocious puberty due to excess of androgens. 3. 21 hydroxylase deficiency Cycle will go upto progesterone So, there will be i) Deficiency of mineralocorticoid --> Salt losing - hypotension, hyponatremia, low chloride, hyperkalemia. ii) Deficiency of cortisol (glucocorticoids): Hypoglycemia, hyperpigmentation (due to excess ACTH) iii) Excess androgens --> Virilization of female (female psueohermaphroditism). In males, there will be precocious puberty due to excess of androgens.